Electrically excitable channels are required for
1. Release of synaptic neurotransmitter
2. Propagation of action potential
3. Both
4. None

Correct answer: 3. Both

Explanation: Ans. c (Both). (Ref. Ganong, Physiology, 21st ed., 54, 57 and 90)# Nerve cells have a low threshold for excitation.# The stimulus may be electrical, chemical or mechanical.# Two types of disturbances are produced, electronic potential and action potential or nerve impulse by their stimuli.# Electrical events are very vital in post-synaptic neurons and require neurotransmitters, which are released after excitation of channels with electrical impulse.End plate potentialAction potential1.Graded depolarization potential that develops at NMJ in skeletal and cardiac muscles but not in smooth musclesNot a graded potential2.Is highly local event (confined to motor end plate), does not propagatePropagates with no decrement with timeDoes not show all or none phenomenon3.Stronger stimulus causes greater EPPStimulus stronger than adequate do not cause bigger AP4.EPP is forerunner of AP Educational points:MCQAns.Develops due to the influx of Na+EPSPDevelops due to the influx of Cl ~IPSPSynoptic potential is recorded byMicroelectrode